Easy fatigability of muscles seen in:
1. Epilepsy
2. MPDS
3. Myasthenia gravis
4. Cerebral palsy

Correct answer: 3. Myasthenia gravis